AML with worst prognosis is :
1. 8/21 translocation
2. Inversion 16
3. Normal Cytogenetics
4. Monosomy 7

Correct answer: 4. Monosomy 7

Explanation: Answer is D (Monosomy 7) Patient with a complex karyotype, inv (3), or -7 (monosomy) have a poor prognosis. - Harrison